Besides its properties of decreasing intraocular pressure, timolol is preferred in the treatment of glaucoma because it
1. Produces no miosis
2. Possess membrane stabilizing activity
3. Increases outflow of aqueous humor
4. Is a selective beta-adrenoceptor blocker

Correct answer: 1. Produces no miosis

Explanation: Ans. is 'a' i.e., Produces no miosis Advantages of topical n-blockers (timolol) over miotics (pilocarpinel No change in pupil size (no miosis) - No fluctuation in I.O.T. No induced myopia - Convenient once/twice daily applications No ciliary spasm (no spasm of accomodation) - Few systemic side effects.